Which of the following symptoms are related to
maxillary sinusitis
1. Tenderness over the involved area
2. Post nasal drip
3. Change in phonation
4. All of the above

Correct answer: 4. All of the above